Inhibitor of platelet aggregation includes
1. TXA2
2. PGI2
3. PGG2
4. All of the above

Correct answer: 2. PGI2